Degeneration of the basement membrane is mediated by:
1. Oxidases
2. Elastases
3. Hydroxylases
4. Metallo proteinase

Correct answer: 4. Metallo proteinase

Explanation: Matrix Metalloproteins MMP9 and MMP2 are collagenases that cleave type IV collagen of epithelial and vascular basement membranes'. Ref: Matrix Metalloproteinases By Robert P. Mecham, William C. Parks, Page 2; Robbin's Illustrated Pathology, 7th Edition, Pages 103, 110, 111, 312